All of the following are true about candidal nail infection except
1. Most commonly seen with h/o wet water work
2. Nail infection occurs secondary to paronychia
3. Loss of nail cuticle
4. Subungual hyperkeratosis is seen

Correct answer: 4. Subungual hyperkeratosis is seen

Explanation: Subundual hyperkeratosis is present in dermatophytic nail infection, not in candidal nail infection.